Left ventricular hypertrophy is caused by all except-
1. MS
2. MR
3. AS
4. AR

Correct answer: 1. MS

Explanation: Left ventricular hypertrophy is enlargement and thickening (hypertrophy) of the walls of your heart's main pumping chamber (left ventricle). Left ventricular hypertrophy can develop in response to some factor -- such as high blood pressure or a heart condition -- that causes the left ventricle to work harder. The most common cause of LVH is high blood pressure (hypertension). Other causes include athletic hypertrophy (a condition related to exercise), valve disease, hypertrophic cardiomyopathy (HOCM), and congenital heart disease. Ref Davidson 23rd edition pg 472